The disaster cycle progresses from -
1. Rehabilitation - Reconstruction
2. Mitigation - Reconstriction
3. Mitigation - Response
4. Rehabilitation - Response

Correct answer: 1. Rehabilitation - Reconstruction

Explanation: - disaster management has three fundamental aspects; disaster response disaster preparedness disaster mitigation - the disaster cycle progress from response, rehabilitation, reconstruction, mitigation and preparedness. Reference : Park's textbook of preventive and social medicine, 23rd edition, pg no:795,796